Which of the following is a sub-epidermal blistering disorder?
1. Pemphigus vulgaris
2. Bullous pemphigoid
3. Pemphigus foliaceous
4. Darier's disease

Correct answer: 2. Bullous pemphigoid

Explanation: ANSWER: (B) Bullous pemphigoidREF: Rooks dermatology 7th ed p. 41.3-41.19Interapidermal bullaBlister at dermoepidermal junctionGranular layerJunctionalPemphigus foliaceousJunctional EBSubcorneal pustular dermatosisBullous pemphigoidStaphylococcal scalded skin syndrome Bullous impetigoDermolyticSpinous layerEpidermolytic bullosa dystrophicansFamilial benign pemphigusEpidermolytic bullosa aquisticaSuprabasalDermatitis herpetiformisPemphigus vulgarisDarier's diseaseBasal layerErythema multiformeLupus erythematosusLichen planusEBS